Mucosal melanosis and hamartomatous polyps are seen in?
1. Peutz-Jeghers syndrome
2. Cronkhite Canada syndrome
3. Familial adenomatous polyposis
4. Hereditary non polyposis colonic cancer

Correct answer: 1. Peutz-Jeghers syndrome

Explanation: Ref: Harrison 19th ed., P 240* Peutz-Jeghers syndrome is characterized by dark brown spots on lips, buccal mucosa, nose and around eyes. There is concomitant intestinal polyposis. The most common location of polyps is in jejunum.* It is an autosomal dominant disorder with STK11 mutation.* The malignant potential of polyps ranges from never to rare transformation.